All the following are dysmorphic facial features associated with fetal alcohol syndrome except:
1. Small palpebral fissures
2. Thin vermilion border
3. Smooth philtrum
4. Low set ears

Correct answer: 4. Low set ears

Explanation: Fetal Alcohol Syndrome Diagnostic Criteria--all required Dysmorphic facial features (all 3 are required) a. Small palpebral fissures b. Thin vermilion border c. Smooth philtrum Prenatal and/or postnatal growth impairment Central nervous system abnormalities (1 required) a. Structural: head size < 10th percentile, significant brain abnormality on imaging b. Neurological c. Functional: global cognitive or intellectual deficits, functional deficits in at least three domains Alcohol-Related Birth Defects Cardiac: atrial or ventricular septal defect, aberrant great vessels, conotruncal heart defects Skeletal: radioulnar synostosis, vertebral segmentation defects, joint contractures, scoliosis Renal: aplastic or hypoplastic kidneys, dysplastic kidneys, horseshoe kidney, ureteral duplication Eyes: strabismus, ptosis, retinal vascular abnormalities, optic nerve hypoplasia Ears: conductive or neurosensory hearing loss Minor: hypoplastic nails, clinodactyly, pectus carinatum or excavatum, camptodactyly, "hockey stick" palmar creases, refractive errors, "railroad track" ears(Ref: William's Obstetrics; 25th edition)